Antemortem burn differ from postmortem burns by all of the following findings, EXCEPT:
1. Pus in vesicle
2. Vesicle with hyperemic base
3. Vesicle containing air
4. Inflammatory red line

Correct answer: 3. Vesicle containing air

Explanation: Difference between ante-mortem burns and post-mortem burns: Trait Ante-mortem burns Post-mortem burns Line of redness Present Absent Blister Contains serous fluid with proteins and chloride. Base is red and inflamed. Contains air and thin clear fluid. Base is dry, hard, and yellow Vital reaction Marked cellular exudation and reactive changes in the tissue cells present Absent Enzymes Peripheral zone of burn shows increase in enzyme reaction Peripheral zone does not show increase in enzyme reaction Ref: The Essentials of Forensic Medicine and Toxicology, 27th edition, Page 289, 290.